A 14-year-old girl presents with an intensely pruritic rash on both hands and on her right cheek. The rash consists of vesicles on erythematous plaques arranged linearly with slight crusting. She denies fever or sore throat and otherwise feels well. She does not have a history of eczema or sick contacts. Which of the following is the most likely diagnosis?
1. Atopic dermatitis
2. Contact dermatitis
3. Erythema infectiosum
4. Impetigo

Correct answer: 2. Contact dermatitis

Explanation: Contact dermatitis: Causes an acute eczematous rash results from a type IV hypersensitivity reaction to an allergen. In this case, the allergen was likely poison ivy resin because she presents with a characteristic rash. lesions are arranged perfectly linear, suggesting that the cause is external to the patient (i.e., a plant) Atopic dermatitis: Lesions are not characterized by linear distributions. In adolescents and adults, the most common sites of involvement are flexor surfaces, wrists/forearms and face. Erythema infectiosum, or fifth disease: "Slapped cheek" rash (edematous, erythematous plaques) in a febrile patient. Parvovirus B19 is the infectious agent. Centripetal rashes. Impetigo: Epidermal infection with staphylococci or streptococci that typically occurs on the face, neck, or extremities. Rash- vesicular with honey colored crusting and can be intensely pruritic.